All of the following amino acids are converted to succinyl-CoA, except
1. Methionine
2. Isoleucine
3. Valine
4. Histidine

Correct answer: 4. Histidine